The major source of calcium for contraction of skeletal muscle is:
1. ECF
2. Cytosol
3. Mitochondria
4. Sarcoplasmic reticulum (SR)

Correct answer: 4. Sarcoplasmic reticulum (SR)

Explanation: Ans. D. sarcoplasmic reticulum (SR)Skeletal muscle depends on the SR as the major source of calcium. Cardiac muscle and smooth muscle depend on influx of calcium from ECF and Ca-induced calcium release for contraction.